Vulva! carcinoma metastasizes to which lymph group :
1. Para aortic nodes
2. Superficial inguinal nodes
3. Internal iliac nodes
4. External iliac nodes

Correct answer: 2. Superficial inguinal nodes

Explanation: Superficial inguinal nodes